All are true about dengue virus except:
1. Belong to flaviviridae
2. Type DEN 4 is most common in India
3. Main vectors are aedes aegypti and aedes albopictus
4. Virus has positive sense RNA

Correct answer: 2. Type DEN 4 is most common in India

Explanation: Ans: (b) Type DEN 4 is most common... (Ref: Park 23'/246-56; Ananthanarayan 9th/523; Harrison 19th/1318-19;Jawetz 27th/552-541 Belong to genus flavivirus with positive sense RNA(Harrison 19th 214e-1 table)All the 4 serotypes i.e dengu 1,2,3 and 4 have been isolated in India but at present DENV-1 and DENV-2 serotypes are widespread, Vector- Aedes aegypti and Aedes albopictus are the two most important vectors of dengue